Which of the following statements regarding transfer of drugs across placenta is FALSE?
1. Transfer across placenta is lesser in early pregnancy
2. most of the drugs to some extent can cross the placenta except heparin and insulin
3. drugs most commonly transfers through active transport
4. P-glycoprotein is present in placenta

Correct answer: 3. drugs most commonly transfers through active transport

Explanation: <Insulin and heparin(strongest acid) are very high molecular weight drugs- cant cross through the placenta. lipid soluble and unionized drugs easily pass through the placenta drugs mostly common transfer through passive diffusion.P glycoprotein plays a key role in the transfer of drugs Pg.no.19 K D Tripathi Seventh edition